A space maintainer is least indicated for premature loss of a:
1. Primary maxillary first molar
2. Primary mandibular first molar
3. Primary mandibular central incisor
4. Primary maxillary central incisor

Correct answer: 4. Primary maxillary central incisor